While playing football an 18-year-old boy was hit on the nose and developed deviation of nose. O/E the septum was not deviated. The following about the patient is true:
1. He should be taken up for open reduction one week later
2. He should be taken for closed reduction as soon as overlying edema subsides
3. Septoplasty should be done in the same sitting
4. He is having Jarjavay fracture

Correct answer: 2. He should be taken for closed reduction as soon as overlying edema subsides

Explanation: (b) He should be taken up for closed reduction as soon as overlying edema subsides(Ref. Cummings 6th ed., 501; Scott Brown, 6th ed., 4/16/9)Since the septum is not deviated he is most likely having class 1 Chevallet fracture. Hence, he should be managed by closed reduction as soon as overlying edema subsides which generally takes around 5-7 days.Since the septum is not deviated so septoplasty will not be required.If the patient presents after 3 weeks then the management is open reduction.